Emphysema aquosum is found in -
1. Dry drowning
2. Wet drowning
3. Immersion syndrome
4. Secondary drowning

Correct answer: 2. Wet drowning